Meniscus of the temporomandibular joint in the older patient is:
1. Synovial
2. Cartilaginous.
3. Fibro cartilaginous
4. Fibrous.

Correct answer: 3. Fibro cartilaginous

Explanation: In younger persons the menicus or articular disc it fibrous. As age advances chondrocytes appear and disc converts into a fibrocartilagenous tissue.